Most common extracranial complication of ASOM is
1. Facial nerve paralysis
2. Lateral sinus thrombosis
3. Subperiosteal abscess
4. Brain abscess

Correct answer: 3. Subperiosteal abscess

Explanation: Pus may break through mastoid cortex leading to subperiosteal abscess which may even burst on surface leading to a discharging fistula It occurs as a sequence of mastoiditis Ref: Dhingra 7e pg 84.